A 36 year old lady experiences an electric shock-like sensation typically induced by flexion or other movements of the neck that radiates down the back into the legs and rarely, into the arms. What is this clinical sign called?
1. Hoffmann's sign
2. Lhermitte's symptom
3. Wartenberg's sign
4. Tinel's sign

Correct answer: 2. Lhermitte's symptom

Explanation: Lhermitte's symptom can occur with cervical spondylosis and multiple sclerosisRef: Harrisons Principles of Internal Medicine, 18th Edition, Page 3398